All of the following statement are true regarding esophageal atresia, except:
1. There is absence of esophagus
2. It is a mechanical obstruction
3. It occurs most commonly at or near the tracheal bifurcation
4. It is associated with other congenital anomalies

Correct answer: 1. There is absence of esophagus

Explanation: Esophageal atresia Congenital defect Thin, non-canalized cord replaces a segment of esophagus, causing a mechanical obstruction. Thus, some part of esophagus is present in esophageal atresia - option-1 is wrong. Commonly at/near tracheal bifurcation usually associated with fistula connecting upper/lower esophageal pouches to bronchus or trachea. Abnormalities of the esophagus are associated with congenital heart defects, genitourinary malformations, and neurologic disease.